A 30-year-old male has had multiple episodes of sudden, severe pain, redness, and swelling of metatarsophalangeal joint of his great toes. These problems seem to occur after the man has had a night out on the town with his friends, when they go barhopping, and the night usually ends with a cab ride home for the group. This problem would also be exacerbated if the man eats which one of the following during his night out?
1. Hamburger
2. Chicago hot dog
3. Chopped liver
4. Nachos and salsa

Correct answer: 3. Chopped liver

Explanation: The man is experiencing gout attacks, cause by a buildup of uric acid. Uric acid is the end product of purine degradation. The liver contains larger levels of nucleic acids (DNA and RNA) than do the other foods listed as answers, and the intestinal epithelial cells will convert the purines in the food to uric acid and release it into the circulation. The alcohol the man has consumed leads to dehydration, which raises the uric acid concentration to the point where it will precipitate in the blood, leading to the painful episodes.